Treatment of choice for late cardiovascular syphilis is:
1. Benzathine penicillin 7.2 million units in three divided doses
2. Benzathine penicillin 2.4 million units single dose
3. Benzyl penicillin 12-24 million units for 21 days
4. Tetracycline 2 g daily

Correct answer: 1. Benzathine penicillin 7.2 million units in three divided doses

Explanation: Ans. (A) Benzathine penicillin 7.2 million units in three divided dosesSyphilisDrug of choiceRouteDoseFrequencyDurationPrimaryBenzathinePenicillin GIntramuscular2.4 MUSingle doseSingle doseSecondaryBenzathinePenicillin GIntramuscular2.4 MUSingle doseSingle doseEarly latentBenzathinePenicillin GIntramuscular2.4 MUSingle doseSingle doseLate latentBenzathinePenicillin GIntramuscular2.4 MUWeekly3 weeksTertiary exceptneurosyphilisBenzathinePenicillin GIntramuscular2.4 MUWeekly3 weeksNeurosyphilisPenicillin GIntramuscular5 MU6 hourly10-14 days